Fibrous pericardium is attached to
1. Central tendon
2. Right crus
3. Left crus
4. Pleura

Correct answer: 1. Central tendon

Explanation: Fibrous pericardium base is broad and inseparably blended with the central tendon of the diaphragm.Ref: BD Chaurasia; Volume I; 6th Edition; Page no: 249